Anosmia is early clinical feature of
1. Alzheimer
2. Parkinson's disease
3. Huntington's chorea
4. All of the above

Correct answer: 4. All of the above

Explanation: Ans. is 'd' i.e., All of the above Main causes of anosmia Main causes of anosmia Nasal. Smoking. Chronic rhinitis (allergic, atrophic, cocaine, infectious-Herpes, influenza). Overuse of nasal vasoconstrictors. Olfactory epithelium. Head injury with tearing of olfactory, filaments Cranial surgery. Subarachnoid hemorrhage, meningitis. Toxic (organic solvents, certain antibiotics-am inoglycosides, tetracyclines, corticosteroids, methotrexate, opiates, 1-dopa). Metabolic (thiamine deficiency, adrenal and thyroid deficiency, cirrhosis, renal failure, menses). Wegener granulomatosis. Compressive and infiltrative lesions (craniopharyngioma, meningioma, aneurysm, meningoencephalocele). Degenerative disease (Parkinson, Alzheimer, Huntington Temporal lobe epilepsy. Malingering and hysteria